All endothelial cells produce thrombomodulin except those found in -
1. Hepatic circulation
2. Cutaneous circulation
3. Cerebral microcirculation
4. Renal circulation

Correct answer: 3. Cerebral microcirculation

Explanation: Ans. (c) Cerebral microcirculation(Ref: Robbins 9th/pg 663)Thrombomodulin is produced by all endothelial cells except those of cerebral microcirculation